HDL was called good cholesterol because:
1. Activates lipoprotein lipase
2. Stimulate hepatic TGs synthesis
3. Causes transport from extrahepatic tissues
4. Removes cholesterol from extrahepatic tissues

Correct answer: 4. Removes cholesterol from extrahepatic tissues

Explanation: HDL Good and Bad cholesterol terminology was used earlier. Now these terms 'good' & 'bad' cholesterol are discarded. HDL was called good cholesterol because of reverse cholesterol transport i.e. it takes cholesterol from peripheral tissue to liver. HDL converts this cholesterol into cholesterol ester with the help of enzyme LCAT-Lecithin Cholesterol Acyl Transferase. This enzyme transfers fatty acid from lecithin (a phospholipid) to cholesterol. Lecithin after losing fatty acid becomes lysolecithin (See fig below).